Impaired function of Aquaporin results in
1. Nephrogenic DI
2. Liddle syndrome
3. Cystic fibrosis
4. Barter syndrome

Correct answer: 1. Nephrogenic DI

Explanation: ADH acts V2 receptors on DCT casuing facultative reabsorption of water by inserting Aquaporin -2 channels into apical (luminal side ). Nephrogenic DI-defect in aquaporins BARTTER SYNDROME - Autosomal recessive Defect in"Na-K-2Cl cotransporter, Cl channel & ROMK"in loop of Henle LIDDLE SYNDROME - Gain of function of epithelial Na channel (ENaC) Cystic fibrosis - CH-7 defect in CFTR gene - causing defect in transmembrane chloride ion regulation.